Unlike other GI secretions, salivary secretion is controlled almost exclusively by the nervous system and is significantly inhibited by:
1. Atropine
2. Pilocarpine
3. Cimetidine
4. Aspirin

Correct answer: 1. Atropine

Explanation: Ans. A. AtropineSalivary secretion is inhibited by atropine. Atropine is an anticholinergic drug that competitively inhibits ACh at postganglionic sites, inhibiting parasympathetic activity. Pilocarpine actually stimulates salivation because of its muscarinic action. Cimetidine is an antagonist for the histamine H2 receptor. Aspirin is the most widely used analgesic (pain reducer), antipyretic (fever reducer), and anti-inflammatory drug. Omeprazole inhibits the H+/K+-ATPase and, thus, inhibits acid secretion.